Following drugs are used in the treatment of ADHD
1. All the above
2. Modafinil
3. Methylphenidate
4. Amphetamine

Correct answer: 1. All the above

Explanation: Treatment of ADHD
1. Pharmacotherapy Pharmacological treatment is considered to be the first line of treatment of ADHD. Drugs used for ADHD are a. CNS stimulants: -
These are drugs of choice for ADHD. Methylphenidate is the drug of choice.
Other CNS stimulants used are dexmethylphenidate. dextroamphetamine, Dextroamphetamine + amphetamine, and modafinil (Provigil).
Methylphenidate should be used in children of 6 years or above and amphetamines should be used in children of 3 years & above.
b. Nonsmulant drugs Atomoxetine, Bupropion, venlafaxine, alpha-adrenergic agonists (Clonidine, guanfacine).
2. Psychological treatment: - The child and parents should be educated with regard to the ways in which ADHD can affect learning, behavior, self-esteem and skills.
The goal should be set for the family to improve the child’s interpersonal relationships,
develop study skills, and decrease disruptive behaviors.
3. Behavior therapy: - The goal of behavior therapy is to identify targeted behavior that causes impairment in the child’s life so that child can work on progressively improving
his or her skill in this area. It includes management of disruptive behavior at home & classroom and improving academic performance.